True regarding myocardial O2 demand?
1. Inversely related to heart rate
2. Has constant relation to external cardiac work
3. Directly proportional to duration of systole
4. Is negligible at rest

Correct answer: 3. Directly proportional to duration of systole

Explanation: Oxygen demand depends on the work being done. The work done is to pump the blood which is in the ventricles (preload) against the resistance in the aorta (afterload).
 So, myocardial oxygen demand depends on

Rate - Directly proportional
Contractility - Directly proportional
Intramyocardial tension - Directly proportional
After load - Directly proportional
Preload - Directly proportional
Wall thickness - Inversely proportional

The oxygen demand of myocardium is not having the same change with varying external works.